All of the following enzymes are involved in oxidation reduction reactions, Except
1. Dehydrogenases
2. Hydrolases
3. Oxygenases
4. Peroxidases

Correct answer: 2. Hydrolases

Explanation: Enzymes involved in oxidation (removal of e-) and reduction (gain of electrons) are called oxido - reductase and are classified into 4 groups: oxidase, oxygenase, dehydrogenase, hydroperoxidase (peroxidase and catalase).Hydrolase is another class of enzyme that catalyzes hydrolysis i.e. cleavage of bonds by addition of water.